Patient with OSAHS is unlikely to have?
1. LVH
2. RVF
3. Increased neck circumference
4. Resistant Hypertension

Correct answer: 2. RVF

Explanation: Obstructive sleep apnea | | Neck circumference Collapse of airway - snoaring Repeated nocturnal awaking - activate RAAS | HTN | LVH RVF is unlikely in OSAHS